Characteristic feature of pagets cells is -
1. Eosinophilic cytoplasm
2. Abundant clear cytoplasm
3. Glycogen mass
4. Multinucleated giant cell

Correct answer: 2. Abundant clear cytoplasm

Explanation: Ans. is 'b' i.e., Abundant clear cytoplasm o Pagets cells are large and have abundant clear or lightly staining cytoplasm and nuclei with prominent nucleus.